Management of persistent cases of CSF rhinorrhea is:
1. Head low position on bed
2. Endoscopic repair
3. Straining activities
4. All of the above

Correct answer: 2. Endoscopic repair

Explanation: CSF rhinorrhoea It refers to the drainage of cerebrospinal fluid through the nose. Measures of CSF components such as beta-2 transferrin has been shown to have a high positive predictive value. It has also been noted to be characterized by unilateral discharge. It is a sign of basal skull fracture. Management includes watchful waiting - leaks often stop spontaneously; if this does not occur then neurosurgical closure is necessary to prevent the spread of infection to the meninges.